First branch of subclavian artery is
1. Internal thoracic artery.
2. Thyrocervical trunk.
3. Vertebral artery.
4. Costocervical trunk.

Correct answer: 3. Vertebral artery.